All are features, seen in cardiac tamponade, EXCEPT:
1. Raised JVP
2. Pericardial effusion
3. Rapid y descent
4. Pulsus paradoxus

Correct answer: 3. Rapid y descent

Explanation: Ans. is 'c' i.e. Rapid y descent In cardiac tamponade 'y ' descent is absent or slow. Rapid 'y ' descent is seen in constrictive pericarditis. Though Kussmaul sign is usually a feature of constrictive pericarditis, it can also be seen (rare) in tamponade. Distinguishing Features between Cardiac Tamponade and Constrictive Pericarditis Tamponade Constrictive Pericarditis Clinical * Pulsus paradoxus* Common Usually absent * Jugular veins * Raised JVP Present Present * Prominent Y descent* Absent Present * Prominent X descent* Present Absent * Kussmaul's sign* Rare Present * Third heart sound* Absent Absent * Pericardial knock* Absent Often present ECG * Electrical alternans* May be present Absent Echocardiography * Thickened pericardium* Absent Present * Pericardial calcification* Absent Present * Pericardial effusion* Present Absent * RV size Usually small Usually normal